Otomycosis is caused by
1. Aspergillus niger
2. Histoplasma capsulatum
3. Rhinosporidium seeberi
4. Cryptococcus neoformans

Correct answer: 1. Aspergillus niger